Glycogenolysis is best described by which of the following statements:
1. It involves enzymes cleaving beta(1- 4) glycosidic linkage
2. Requires activation of glycogen synthase
3. Requires a bifunctional enzyme (debranching and transferase)
4. Requires inactivation of phosphorylase kinase

Correct answer: 3. Requires a bifunctional enzyme (debranching and transferase)

Explanation: Bifunctional enzymes(two enzymatic activities present on a single protein) involve : Debranching enzyme Glucan transferase . (Option c) -(Option a)- Glycogenolysis - cleaving alpha(1 - 4) bonds, not b (1- 4) bonds. -(Option b) -requires activation of glycogen phosphorylase , not glycogen synthase -(Option d)- It requires activation (not inactivation )of phosphorylase kinase